Which ion helps is resting membrane potential in neurons:
1. Potassium
2. Calcium
3. Chloride
4. Sodium

Correct answer: 1. Potassium

Explanation: Ans. A: Potassium In neurons resting membrane potential is about -70 mV, which is close to the equilibrium potential of potassium ions